Which of the following is the muscle relaxant of choice in renal failure?
1. Rapacurium
2. Pancuronium
3. Atracurium
4. Rocuronium

Correct answer: 3. Atracurium

Explanation: Muscle relaxant of choice in renal failure is atracurium, since it is not eliminated through the kidney. It is inactivated in the plasma by spontaneous non enzymatic degradation (Hofmann elimination) in addition to that by cholinesterase. Ref: Essentials of Medical Pharmacology By K D Tripathi, 5th Edition, Page 314.